When gentamicin is given , its half life is 2-3 hours but it accumulates in kidney and its half life is prolonged to 53 hour. This half life is called as:
1. Secondary half life
2. Terminal half life
3. Zero order half life
4. First order half life

Correct answer: 2. Terminal half life

Explanation: Terminal half life: With prolonged dosing (or with high drug concentrations), a drug may penetrate beyond the central compartment into "deep" or secondary body compartments that equilibrate only slowly with the plasma. When the infusion or dosing stops, the drug will be initially cleared from plasma as expected but will eventually drop to a point at which net diffusion from the secondary compartments begins, and this slow equilibration will produce a prolongation of the half-life of the drug, referred to as the terminal half-life.